ECG Change seen in Pulmonary embolism is:
1. S1 Q3 T3
2. S1 Q3 T1
3. S3 Q3 T1
4. S3 Q1 T3

Correct answer: 1. S1 Q3 T3

Explanation: A large S wave in lead I, Q wave in lead II and inverted T wave in lead III is seen in Pulmonary embolism because of acute Right heart strain.